A genodermal disease that can cause skin malignancy are –
1. Xeroderma pigmentosa
2. Neurofibromatosis
3. Actinic keratosis
4. Porphyria cutanea tarda

Correct answer: 1. Xeroderma pigmentosa

Explanation: Xeroderma pigmentosa is a genodemaatosis which can cause skin malignancy.
Neurofibromatosis (a genodermatosis) also predisposes to malignancy, but it is extra-cutaneous malignancy (not skin malignancy).